Which B2 agonist is not given for acute bronchial asthma -
1. Salbutamol
2. Terbutaline
3. Salmeterol
4. Methyl xanthine

Correct answer: 3. Salmeterol